Most common nephropathy in world is?
1. IgA nephropathy
2. FSGS
3. Minimal Change ds
4. Adult PSGN

Correct answer: 1. IgA nephropathy

Explanation: a. IgA nephropathy(Ref: Nelson's 20/e p 2496)High Yield Points:IgA nephropathy is the most common type of glomerulonephritis worldwideIgA nephropathy is the most common cause of gross hematuria